In diabetes and starvation, acidosis occur due to:
1. Glycogen
2. Ketone bodies
3. Glucose
4. Sphingolipids

Correct answer: 2. Ketone bodies

Explanation: In Diabetes and Starvation, Ketone bodies are formed in excess, leading to ketoacidosis. In Diabetes and during starvation, beta Oxidation of fatty acids occur in liver producing Acetyl CoA for the synthesizes of Ketone bodies as the main fuel which is primarily the source of energy for Brain, Heart, Skeletal muscles.